fibrinoid necrosis is senn all the following except ?
1. malignant hypertension
2. acute rheumatic fever
3. polyarthropathy
4. polyairitis nodosa

Correct answer: 3. polyarthropathy

Explanation: Fibrinoid necrosis : alSo called "fibrinoid degeneration" It appears as strongly eosinophilic, reflexible small granules, pieces or amorphous materials, in the wall of blood vessel or in connective tissue. The original structure is destroyed. It can be seen in rheumatic fever, allergic vasculitis and other immune complex injury . * (type 3 hypersentitivity reaction) ref : robbins 10th ed